Which one of the following does not cause pulsus paradoxus ?
1. Severe aortic regurgitation
2. Cardiac tamponade
3. Constrictive pericardities
4. Acute severe bronchial asthma

Correct answer: 1. Severe aortic regurgitation